Transrectal ultrasonography in carcinoma prostate is most useful for –
1. Guided prostatic biopsies
2. Seminal vesicle involvement
3. Measurement of prostatic volume
4. To detect hypoechoic area

Correct answer: 1. Guided prostatic biopsies

Explanation: The major role of transrectal USG is to guide prostatic biopsies.